Prostatic cancer mostly seen in
1. Posterior
2. Lateral
3. Medial
4. Anterior

Correct answer: 1. Posterior

Explanation: - MC site of CA Prostate - Posterior lobe - MC site of BPH - Median lobe - On DRE - Posterior lobe is felt and medial lobe is felt when enlarged. - MC site of BPH - Transition zone - MC site of CA Prostate - Peripheral zone